Which among the following microorganism is a gram negative anaerobe?
1. Streptococci
2. Bacteroides
3. Actinomyces
4. Clostridium welchii

Correct answer: 2. Bacteroides

Explanation: Bacteroides species are gram negative bacilli, and are anaerobes. They are a large group of bile-resistant, non-spore-forming, slender rods that may appear as coccobacilli. Bacteria of the genus Streptococcus are Gram-positive cocci typically arranged in chains. Actinomyces are Gram-positive rods characterized by filamentous, tree-like branching growth. Clostridium perfringens is a large, Gram-positive, nonmotile rod with square ends. It grows overnight under anaerobic conditions, producing hemolytic colonies on blood agar. Ref: Brooks G.F. (2013). Chapter 21. Infections Caused by Anaerobic Bacteria. In G.F. Brooks (Ed), Jawetz, Melnick, & Adelberg's Medical Microbiology, 26e.